Albumino-cytological dissociation in CSF is a feature of:-
1. Multiple sclerosis
2. GB syndrome
3. TB meningitis
4. Multiple myeloma

Correct answer: 2. GB syndrome

Explanation: GB syndrome Autoimmune - H/O -Post bacteria / viral - MC - C. Jejuni 2 wks.- C/L - Ascending symmetrical flaccid paralysis but bladder bowel-spared Dx - lumbar puncture - CSF (P) - Normal Cells - Normal Sugar - Normal Colour - Normal Proteins | Albumino-cytological dissociation IOC - AntiGM- Ab. Rx - IV Immunoglobulins